False regarding Alzheimer's disease (AD) is:
1. Number of senile neural plaques correlates (increases) with age
2. Presence of tau protein suggest neurodegeneration
3. Number of neurofibrillary tangles is associated with the severity of dementia
4. Extracellular inclusion (lesion) can occur in the absence of intracellular inclusions to make pathological diagnosis of AD

Correct answer: 4. Extracellular inclusion (lesion) can occur in the absence of intracellular inclusions to make pathological diagnosis of AD

Explanation: Please remember that the neuropathological diagnosis of Alzheimer's disease requires extensive presence of both senile plaques (extra cellular deposits) and neurofibrillary tangles (intracellular inclusion) Alzheimer's disease: Pathophysiological Findings: Diffuse atrophy, Flattened Cortical Sulci & Dilated Cerebral ventricles * Primarily involve Parietal and temporal Lobes * Atrophy starts In Medical Temporal Lobe (Entorhinal/Perirhinal Cortex & Hippocampus) and spreads to Lateral & Medial parietal Lobes, Lateral Temporal Lobes & Lateral Frontal Cortex Microscopic Findings: 1) Senile plaques or Neuritic plaques or Amyloid plaques Extracellular in location Ab protein 2) Neurofibrillary Tangles: Intracellular Deposits Tau proteins Neuropathological Diagnosis of AD : Extensive presence of both Senile plaques & NFT 3) Granulovacuolar Degeneration & Hirano bodies (Eosinophilic Inclusions) - Abnormalities In Cytoplasm of Hippocampal Neurons Can be present in Elderly without dementia's